Complement necessary for neisseria infection is/ are -
1. C5
2. C6
3. C7
4. All

Correct answer: 4. All

Explanation: Ans. is All 'a' i.e., C 5; 'b' i.e., C 6; 'c' i.e., C 7